Increase in alpha-fetoprotein is seen in-
1. Hepatoblastoma
2. Neuroblastoma
3. Thymoma
4. Angiosarcoma

Correct answer: 1. Hepatoblastoma